A 25-year-old woman has cauliflower shaped perineal lesions that are diagnosed as condyloma acuminatum. The etiologic agent is
1. HSV.
2. Treponema pallidum.
3. Haemophilus ducreyi.
4. HPV.

Correct answer: 4. HPV.

Explanation: Condyloma acuminatum is a nonmalignant neoplastic-like papillomatous condition that affects epithelium of the perineal, vulval, perianal and vaginal regions. It is caused by HPV (most often HPV 6 and 11). Given histopathological slide is showing Condyloma acuminatum Acanthosis and koilocytosis of squamous epithelium. Branching villous structure Genital herpes is usually caused by HSV type 2. T. pallidum is a spirochete and the etiologic agent of syphilis. H. ducreyi causes chancroid, a painful, erosive, chancre-like lesion.